All are true about Entamoeba Histolytica except -a) Cyst are 8 nucleatedb) Cyst are 4 nucleatedc) Trophozoites colonise in the colond) The chromatid bodies are stained by Iodides
1. b
2. c
3. ac
4. ad

Correct answer: 4. ad

Explanation: Cyst of E. histolytical is quadrinucleate (4 nuclei)
Chromatid bodies do not stain with iodine but are seen as refractile oblong bars with rounded ends in preprations with normal saline and as black when stained with iron-haematoxylin.


Trophozoites colonize cecum and ascending colon, sigmoid colon, rectum and appendix in order of frequency.